Which of the following drugs have maximum capacity to lower serum triglyceride levels?
1. Fibrates
2. Statins
3. Niacin
4. Ezetimibe

Correct answer: 1. Fibrates

Explanation: Fibrates: maximum capacity to lower serum triglyceride levels. Statins: Max. LDL lowering capacity ANTI-DYSLIPIDEMIC AGENTS Group Mechanism Drugs Special points Statins HMG CoA reductase inhibition Atorvastatin, Rosuvastatin Max LDL lowering capacity Fibrates Stimulation of PPAR-alpha Clofibrate Fenofibrate Gemfibrozil Max TG lowering capacity Bile acid sequestrants Binds bile acids in GIT Cholestyramine Colestipol Cholesevalam Safe in pregnancy and children Ezetimibe Inhibit intestinal cholesterol absorption Ezetimibe Given with statins Nicotinic acid Inhibit lipase Niacin Max HDL increasing capacity